The horizontal fracture of maxilla is called as:
1. Le Fort I fracture
2. Floating jaw fracture of maxilla
3. Both of above
4. None of the above

Correct answer: 3. Both of above